Main support of uterus is provided by following structure
1. Round ligament
2. Cardinal ligament
3. Vesico-uterine fold
4. Broad ligament

Correct answer: 2. Cardinal ligament

Explanation: The cervix protrudes into the vagina. The uterus is held in position within the pelvis by condensations of endopelvic fascia, which are called ligaments. These ligaments include the pubocervical, transverse cervical ligaments or Mackenrodt's ligaments or cardinal ligaments, and the uterosacral ligaments. Ref - BDC 6e vol2 pg 391